Most common childhood malignancy is?
1. Leukaemia
2. Neuroblastoma
3. Lymphoma
4. Wilm's tumour

Correct answer: 1. Leukaemia

Explanation: (A) Leukemia # Types of cancers that develop most often in children are different from those in adults. Leukemia Brain and other central nervous system tumors Neuroblastoma Wilms tumor Lymphoma (including both Hodgkin & non-Hodgkin) Rhabdomyosarcoma Retinoblastoma Bone cancer (including osteosarcoma and Ewing sarcoma> Leukemias: Leukemias, which are cancers of the bone marrow and blood, are the most common childhood cancers. They account for about 30% of all cancers in children. The most common types in children are acute lymphocytic leukemia (ALL) and acute myelogenous leukemia (AML). These leukemias can cause bone and joint pain, fatigue, weakness, pale skin, bleeding or bruising, fever, weight loss, and other symptoms. Acute leukemias can grow quickly, so they need to be treated (typically with chemotherapy) as soon as they are found.